Recurrence of OKC is due to:
1. Thin and fragile epithelium
2. Satellite cyst
3. Increased mitotic activity
4. All of the above

Correct answer: 4. All of the above

Explanation: Recurrence of OKC is due to:

Thin and fragile epithelium
Satellite cyst
Increased mitotic activity